All are markers of mitochondria except -
1. ATP synthase
2. 5-nucleotidase
3. Glutamate dehydrogenase
4. Creatine kinase

Correct answer: 2. 5-nucleotidase

Explanation: Ans. is 'b' i.e., 5-nucleotidase Organelle or fractionMarkersMitochondriaInner membrane: - ATP synthase. Succinate dehydrogenase Intermembrane space: - Creatine kinase, Adenyl kinase. Matrix: - Glutamate dehydrogenase, Pyruvate dehydrogenase, enzymes of TCA cycle & P-oxidation of fatty acidsPlasma membraneS'-Nucleotidase, Adenyl cyclase, Na+K+ ATPaseLysosomeAcid phosphataseGolgi ApparatusGalactosyl transferase, Golgi mannosidase II, Sialyl transferase, GlcNAc transferase IEndoplasmic reticulumGlucose-6-phosphatasePeroxisomeCatalase^, Urate (uric acid) oxidaseCytosolLactate dehydrogenaseNucleusDNARibosomeHigh content of RNA